Which personality disorder of DSM-IV is not classified as PD & is placed with schizophrenia in ICD
1. Schizoid
2. Paranoid
3. Narcissistic
4. Schizotype

Correct answer: 4. Schizotype

Explanation: D i.e. Schizotype